Which of the following structure develop in ventral part of ventral mesentery of stomach?
1. Falciform ligament
2. Hepatogastric ligament
3. Lesser omentum
4. Splenogastric ligament

Correct answer: 1. Falciform ligament

Explanation: - Falciform ligament develops in the ventral part of the ventral mesentery - Lesser omentum (hepatogastric ligament) inRt the dorsal part of ventral mesentery.